In radiation therapy, it is desirable to use linear accelerators in treating cancers. Which rays are produced by linear accelerators?
1. X rays
2. Beta rays
3. Gamma rays
4. Neutrons

Correct answer: 1. X rays

Explanation: A linear accelerator or "linac" produces high-energy x-rays. The linear accelerator is a device that uses high-frequency electromagnetic waves to accelerate charged particles such as electrons to high energies through a linear tube. The high-energy electron beam itself can be used for treating superficial tumors, or it can be made to strike a target to produce x-rays for treating deep seated tumors. Ref: The Physics of Radiation Therapy By Faiz M. Khan, 2012, Page 38; Oxford oncology 2nd edition, Page 398